Recording centric relation is important for all of the following reasons except:
1. Its required for stability of denture
2. It’s a starting point for developing occlusion
3. It serves as a reference point
4. Centric relation should always coincide with centric occlusion in natural dentition

Correct answer: 4. Centric relation should always coincide with centric occlusion in natural dentition

Explanation: Centric Relation: “The maxillomandibular relationship in which the condyles articulate with the thinnest avascular portion of their respective discs with the complex in the anterior-superior position against the slopes of the articular eminences. This position is independent of tooth contact. This position is clinically discernible when the mandible is directed superior and anteriorly. It is restricted to a purely rotary movement about the transverse horizontal axis” (GPT-5) (most accepted definition). Centric Occlusion: It is the maximum intercuspation between the upper and lower teeth. The latest terminology for centric occlusion is inter-cuspal position (ICP) or maximal intercuspal position.
Key Concept:
​Centric relation serves as a reference point and is used as a starting point for developing occlusion. In  natural dentition centric relation is a little behind the centric occlusion.